With regard to dantrolene sodium, false statement is
1. Hepatotoxicity is side effect
2. It may be given orally
3. Is supplied mixed with mannitol in ampoules
4. Increases releases of calcium from sarcoplasmic reticulum

Correct answer: 4. Increases releases of calcium from sarcoplasmic reticulum

Explanation: Dantrolene inhibits release of calcium from sarcoplasmic reticulum.